Follwing are true of Paget's disease of breast except?
1. Usually bilateral
2. Associated intraductual carcinoma
3. Prognosis good in absence of lump
4. Treatment simple mastectomy with axillary clearance

Correct answer: 1. Usually bilateral

Explanation: Ans. is 'a' i.e. Usually bilateral